Phossy jaw is seen in which poisoning?
1. Mercury
2. Yellow phosphorous
3. Red phosphorous
4. Tetanus

Correct answer: 2. Yellow phosphorous

Explanation: ANSWER: (B) Yellow phosphorousREF: Textbook of Forensic Medicine and Toxicology by Nagesh Kumar Rao - Page 371Phossy jaw is a type of osteomyelitis of jaws observed in chronic cases of phosphorus poisoning. Incidence is common among the workers of phosphorus industries linked to "yellow phosphorous," the key ingredient in "strike-anywhere" matches, who are exposed to phosphorus fumes. The process starts in a carious tooth and then spreads, causing severe necrosis of the lower jawNote: Yellow phosphorous is also known as white phosphorous